1st carpometacarpal joint is?
1. Pivot
2. Hinge
3. Ball and Socket
4. Saddle

Correct answer: 4. Saddle

Explanation: Saddle